Apixaban is a new drug that acts by
1. Inhibiting TNF alpha
2. Inhibiting coagulation factor Xa
3. Inhibiting platelet aggregation
4. Activating plasminogen

Correct answer: 2. Inhibiting coagulation factor Xa

Explanation: Rivaroxaban and Apixaban are newer oral anticoagulants that act by inhibiting factor Xa. Newer oral anticoagulants that are currently being asked in the exams are: Direct thrombin inhibitor- Dabigatran Direct factor Xa inhibitors Apixaban Rivaroxaban Edoxaban Betrixaban